In the Lepra reaction, the drug useful is :
1. Penicillins
2. Clofazimine
3. Dapsone
4. Rifampicin

Correct answer: 2. Clofazimine

Explanation: Anti-inflammatory drugs are used in lepra reaction. Steroids, clofazimine and thalidomide can be used.